Due to fear which of the following hormones increases rapidly?
1. Growth hormones
2. Epinephrine
3. Corticosteroid
4. Thyroid hormone

Correct answer: 2. Epinephrine

Explanation: Adrenaline increases the activity of brain. Adrenaline secretion increases during ‘fight or flight reactions’ after exposure to stress. It enhances the cortical arousal and other facilitatory functions of central nervous system.
Reference: Essentials of Medical Physiology K. Sembulingam, Prema Sembulingam 6th ED P:442